When the mouth is opened wide, modiolus becomes
1. Mobile
2. Supple
3. Immobile
4. None of the above

Correct answer: 3. Immobile